Which of the following terms is used to describe the process in which the uterus contracts and atrophies to its nonpregnant size?
1. Involution
2. Reparation
3. Contracture
4. Decompression

Correct answer: 1. Involution

Explanation: Involution of uterus -1000 grams of uterus returns to 100 to 200 grams. Weight of uterus immediately after delivery is 1000gms. 1. Immediately after delivery- just below the umblicius 2. Uterus become pelvic organ in 10-14 days 3. Uterus comes to normal size in 4-6 weeks